Which of the following statement is TRUE about Ribozyme?
1. Pepitdyl transferase activity
2. Cut DNA at specific site
3. Participate in DNA synthesis
4. GTPase

Correct answer: 1. Pepitdyl transferase activity

Explanation: Ribozymes are RNA molecules with catalytic activity. These generally involve trans esterification reactions, and most are concerned with RNA metabolism (splicing and endoribonuclease). Recently, a rRNA component has been implicated in hydrolyzing an aminoacyl ester and thus to play a central role in peptide bond function (peptidyl transferases.) Ref: Weil P. (2011). Chapter 36. RNA Synthesis, Processing, & Modification. In D.A. Bender, K.M. Botham, P.A. Weil, P.J. Kennelly, R.K. Murray, V.W. Rodwell (Eds),Harper's Illustrated Biochemistry, 29e.